Which of the following condition is diagnosed by Hallpike test?
1. BPPV
2. Sensorineural hearing loss
3. Conductive hearing loss
4. Otosclerosis

Correct answer: 1. BPPV

Explanation: Benign paroxysmal positional vertigo (BPPV) is diagnosed by observing a characteristic nystagmus (latent, geotropic, fatigable) when performing the Dix-Hallpike test. BPPV is one of the most common types of peripheral vertigo, arising as a result of debris in the posterior semicircular canal. Patients complain of vertigo lasting seconds, with no associated hearing loss when in certain positions.